Index areas are
1. Alveolar support areas that disclose the reaction of bone to additional stresses
2. Areas which respond earlier to pathologic changes
3. Alveolar bone areas which respond to treatment
4. None of the above

Correct answer: 1. Alveolar support areas that disclose the reaction of bone to additional stresses